All of the following disease may be acquired by ingestion except-
1. Taeniasis
2. Guinea worm
3. Toxoplasmosis
4. Leishmaniasis

Correct answer: 4. Leishmaniasis

Explanation: A sandfly species named phlebotomous argentipus act as Indian vector Infection occurs by bite of infected sandfly Incubation period varies from 3 to 6 months (refer pgno:40 baveja 3 rd edition)